Declaration of Geneva is related with -
1. Medical etiquette
2. Disciplinary control
3. Hippocratic oath
4. Professional misconduct

Correct answer: 3. Hippocratic oath

Explanation: The modernized version of the Hippocratic Oath is the Declaration of Geneva (1948). DECLARATION OF GENEVA: Adopted by the 2nd General Assembly of the World Medical Association, Geneva, Switzerland, September 1948and amended by the 22nd World Medical Assembly, Sydney, Australia, August 1968and the 35th World Medical Assembly, Venice, Italy, October 1983and the 46th WMA General Assembly, Stockholm, Sweden, September 1994and editorially revised by the 170th WMA Council Session, Divonne-les-Bains, France, May 2005and the 173rd WMA Council Session, Divonne-les-Bains, France, May 2006 and amended by the 68th WMA General Assembly, Chicago, United States, October 2017. At the time of registration by the State Medical Council, each applicant is given a copy of the Declaration of Geneva by the Registrar concerned. Ref: 1.
2. Dr.K.S.Narayana Reddy, The Essentials of Forensic Medicine & Toxicology, 34th edition, Pg.25.